False about posterior fontanelle:
1. Helps in estimating time of birth
2. Site for concealed trauma
3. Closes at 16-18 months
4. Formed by parietal and occipital bones

Correct answer: 3. Closes at 16-18 months

Explanation: Ans. Closes at 16-18 months